'Lead time' refers to the time between -
1. Disease onset & final critical diagnosis
2. Disease onset & first possible point of detection
3. First possible point of detection & final critical diagnosis
4. First possible point of detection & usual time of diagnosis

Correct answer: 4. First possible point of detection & usual time of diagnosis

Explanation: Ans. is 'd' i.e., First possible point of detection & usual time of diagnosis